Emergency contraceptive of choice is:
1. OCP
2. Danazol
3. Levonorgestrel
4. Mifepristone

Correct answer: 3. Levonorgestrel

Explanation: Ans. is c, i.e. LevonorgestrelRef: Leon Speroff 7th/ed, p927; Novak 14th/ed, p283-285Drugs used for Emergency contraception:1. OCP's (Morning after pill)2. Levonorgestrel alone-Mostly used drug/progesterone for Emergency contraception3. Copper Intrauterine device4. Mifepristone/RU-4865. Centchroman6. UlipristalNote: LNG-IUCD cannot be used for emergency contraceptionAs far as Danazol is concerned, it was earlier used as an emergency contraceptive but not nowadays."The use of danazol for emergency contraception is not effective". - Ref: Leon Speroff 7th/ed, p927Also Know* Emergency contraception should be initiated as soon as possible after exposure and the standard recommendation is that it should not be initiated later than 72 hours.* Greatest protection occurs, if it is started within 12 hours of exposure.* Emergency contraception will be ineffective in the presence of an established pregnancy.